Dialysis disequilibrium occurs due to:
1. Cerebral edema
2. Hypertension
3. Alumunium toxicity
4. A Beta2 amyloid deposition

Correct answer: 1. Cerebral edema

Explanation: Complications of hemodialysis Dialysis disequilibrium syndrome Dialysis disequilibrium causes fluid shift in brain (Cerebral oedema, seizures) Symptoms- headache, nausea, emesis, vision, muscular twitching, disorientation, hypertension, tremors, and seizures. The condition tends to be self-limited and subside over several hours. Dialysis disequilibrium syndrome is attributed reverse urea effect.